A child presents with diarrhea and peripheral circulatory failure. The arterial pH is 7.0, PCO2 15 mmHg, and PO2 76 mm Hg. What will be the most appropriate therapy?
1. Sodium bicarbonate infusion
2. Bolus of Ringers lactate.
3. Bolus of hydroxyethyl starch
4. 5% Dextrose infusion

Correct answer: 2. Bolus of Ringers lactate.

Explanation: Acidosis cause due to shock by Dehydration should be corrected by RL i/v fluid.